Drug of choice for chylamydial trachomatis is:
1. Penicilin
2. Erythromycin
3. Vancomycin
4. Azithromycin

Correct answer: 4. Azithromycin

Explanation: Ans. D: Azithromycin Because of higher efficacy, better gastric tolerance and convenient once a day dosing, azithromycin is now preferred over erythromycin as first choice drug for infections such as: Legionnaires' pneumonia Chlamydia trachomatis Donovanosis caused by calymmatobacterium granulomatis Chancroid and PPNg urethritis.